Which among the following differentiates N. meningitis from N. gonorrhoea?
1. It is oxidase positive
2. It ferments Glucose
3. It ferments Maltose
4. It reduces nitrates

Correct answer: 3. It ferments Maltose

Explanation: It ferments Maltose